Age at which child can tell gender?
1. 2 years
2. 3 years
3. 4 years
4. 5 years

Correct answer: 2. 3 years

Explanation: Ans. (b) 3 yearsRef: Nelson 18th ed., Chapter 9Milestones at 3 years of age( most of these have been asked in previous years)* Can tell age gender and recall story* Rides tricycle* Stands momentarily on one foot* Makes tower of 10 cubes; imitates construction of "bridge" of 3 cubess* Copies circle* Imitates cross* Plays simple games (in "parallel" with other children)* Helps in dressing (unbuttons clothing and puts on shoes)* Washes hands